The following structure represents all the three components of the embryonic disc:
1. Tympanic membrane
2. Retina
3. Meninges
4. None of the above

Correct answer: 1. Tympanic membrane

Explanation: (a) Tympanic membrane(Ref. Scott Brown, 8th ed., Vol 2, page 540)The 1st cleft grows and meet 1st pouch medially to form the tympanic membrane.So the tympanic membrane is made from all the 3 layers, outer epithelial layer from ectoderm and inner endothelial layer from endoderm and in between these is the fibrous layer from mesoderm.Retina develops from neuro-ectoderm.Dura mater is derived from mesoderm. Pia and arachnoid are derived from neural crest.